VAS is most widely used to measure
1. Sleep
2. Sedation
3. Pain intensity
4. Depth of anaesthesia

Correct answer: 3. Pain intensity

Explanation: The visual analog scale (VAS) is a validated, subjective measure for acute and chronic pain. Scores are recorded by making a handwritten mark on a 10-cm line that represents a continuum between "no pain" and "worst pain."